Tentative marks are indicative of
1. Homicide
2. Accident
3. Suicide
4. Burking

Correct answer: 3. Suicide

Explanation: Ans. (c) Suicide.